Decrease reflex response after repetitive stimulation
1. Summation
2. Fatigue
3. Irradiation
4. Occlusion

Correct answer: 2. Fatigue

Explanation: Fatigue is produced in part by bombardment of the brain by neural impulses from muscles and the decline in blood ph produced by lactic acidosis also makes one feel tired. Ref: Ganong's review of medical physiology;23rd edition; pg:637.